Sterrad is a gas plasma sterilizer used in operation theaters for disinfecting OT articles. Which of the following is the active agent used in it?
1. H2O2
2. N2O
3. Ozone
4. ETO gas

Correct answer: 1. H2O2

Explanation: STERRAD Gas plasma sterilizer in which plasma i.e.4th stage of matter is sterilizedwith an active agent H2O2. This is very effective but it is also very costly